In glomerulus subendothelial deposits are seen in ?
1. Good pasture syndrome
2. IgA nephropathy
3. MPGN type I
4. MPGN type II

Correct answer: 3. MPGN type I

Explanation: Ans. is 'c' i.e., MPGN type I